Drug used for sympathectomy in experimental animals is -
1. Guanethidine
2. Atropine
3. Diazoxide
4. Thebaine

Correct answer: 1. Guanethidine

Explanation: Ans. is 'a' i.e., Guanethidine o Guanethidine is used for experimental sympthectomy.o Guanethidine a polar guanidine compound which is taken up into adrenergic nerve endings by active amine transport and has three important facets of action :Displaces NA from storage granules stochiometrically.Inhibits nerve impulse coupled release of NAEngages and blocks NA uptake mechanism at the axonal membrane,o It was used for sympathectomy in experimental animal.